Kaposi sarcoma occurs with infection due to -
1. HHV8
2. HHV4
3. HHV2
4. HHV1

Correct answer: 1. HHV8